All are vitamin K dependent clotting factors of hepatic origin except
1. II
2. VII
3. VIII
4. X

Correct answer: 3. VIII

Explanation: Vitamin K has an important role in the blood clotting process. It brings about the posttranslational modification of certain blood clotting factors clotting factor II (prothrombin), factor VII (SPCA) factor IX (Christmas factor) factor X (Stuart prower factor) they are synthesized as inactive precursors (zymogens) in the liver ref DM Vasudevan 8th ed page 462